The best prognosis is gastric carcinoma is in type
1. Linitis plastic
2. Polypoidal growth
3. Ulcerative
4. Superficial spreading

Correct answer: 4. Superficial spreading

Explanation: Reference p772-773 The Stomach cancer, also known as gastric cancer, is a cancer that develops from the lining of the stomach. Early symptoms may include heartburn, upper abdominal pain, nausea and loss of appetite. Later signs and symptoms may include weight loss, yellowing of the skin and whites of the eyes, vomiting, difficulty swallowing and blood in the stool among others Prognosis Five-year survival rate < 10% (globally),28% (US), 65% (S. Korea